Antibody in drug induced Lupus
1. Anti-smith
2. Anti-phospholipid
3. Anti-Ribosomal
4. Anti-Histone

Correct answer: 4. Anti-Histone

Explanation: Anti-Histone antibodies - Drug induced Lupus.
Anti-Ribosomal antibodies - CNS Lupus.